Nitroprusside test is done for the diagnosis of which of the following diseases?
1. Phenylketonuria
2. Tyrosinemia
3. Maple syrup urine disease
4. Homocystinuria

Correct answer: 4. Homocystinuria

Explanation: Nitroprusside test- for Homocystinuria Ferric chloride test- for Phenylketonuria Dinitrophenylhydrazine test- for Organic acidemia/ Maple syrup urine disease